Brown atrophy occurs due to:
1. Melanin
2. Hemosiderin
3. Bilirubin
4. Lipofuscin

Correct answer: 4. Lipofuscin

Explanation: Lipofuscin is an insoluble pigment,also known as Lipochrome or wear and tear pigment. -Its a sign of free radical injury and lipid peroxidation. -In sectioned tissue it appears as yellow-brown,finley granular cytoplasmic,often perinuclear pigment. -It is seen in the aging cells and is particularly prominent in the liver and heart of aging patients. -Also seen in patients with severe malnutrition and cancer cachexia. Brown atrophy of the heart